Pulmonary embolism is seen in all except?
1. Fanconi anemia
2. Paroxysmal nocturnal hemoglobinuria
3. Oral contraception
4. Old age

Correct answer: 1. Fanconi anemia

Explanation: Old age will lead to prolonged immobilisation, post-surgery and increases the possibility of deep vein thrombosis. Estrogen based OCPs increase thrombogenic potential. Pt with PNH suffer from thrombosis and interpreted as a very bad prognostic sign and the most common cause of death in PNH. Fanconi's Anemia - decreased production of all types of blood cells is there, a form of Aplastic anemias.